A 60 year old man presents to a physician because of difficulty in reading and coming down stairs, which he attributes to an inability to "look down." Physical examination reveals that the patient looks around by moving his head rather than his eyes and also shows a distinctive axial rigidity of neck, trunk, and proximal limb muscles. He shows poverty of movement and dysarthric speech. Mentally, the patient responds very slowly but has better memory and intellect than are initially apparent. Which of the following pathologic findings of the brain would most likely be present?
1. Depigmentation of the substantia nigra and locus ceruleus
2. Diffuse cortical atrophy with relative sparing of primary motor and sensory areas
3. Selective frontal and temporal lobe atrophy
4. Widespread neuronal loss and gliosis in subcortical sites

Correct answer: 4. Widespread neuronal loss and gliosis in subcortical sites

Explanation: The disease is progressive supranuclear palsy, a degenerative disorder characterized by ophthalmoplegia, pseudobulbar palsy, axial dystonia, and bradykinesia. The presentation described in the question is typical. The pathologic changes consist of widespread neuronal loss and gliosis in subcortical sites with sparing of the cerebral and cerebellar cortices. Pigmented neurons in the substantia nigra (pars compacta) and locus ceruleus selectively degenerate in Parkinson's disease. In Alzheimer's disease, there is diffuse cortical atrophy, especially over the association cortex of frontal, temporal, and parietal lobes, with relative sparing of primary sensory and motor areas.Selective frontal and temporal lobe atrophy is characteristic of Pick's disease. Ref: Wyatt C., Butterwoh IV J.F., Moos P.J., Mackey D.C., Brown T.G. (2008). Chapter 11. Neuropathology. In C. Wyatt, J.F. Butterwoh IV, P.J. Moos, D.C. Mackey, T.G. Brown (Eds), Pathology: The Big Picture.